Cetuximab (an EGFR antagonist) can be used in ?
1. Palliation in head and neck cancer
2. Anal canal ca
3. Gastric ca
4. Lung ca

Correct answer: 1. Palliation in head and neck cancer

Explanation: Ans. is 'a' i.e., Palliation in head neck cancer Uses of Cetuximab Head and neck cancer Colorectal cancer